Abduction of eyeballs is by the action of
1. Lateral rectus, superior oblique and the inferior oblique
2. Medial rectus, superior rectus and the inferior rectus
3. superior oblique and the superior rectus
4. Inferior oblique and the inferior rectus

Correct answer: 1. Lateral rectus, superior oblique and the inferior oblique